Cholesterol from the liver is transported to the peripheral tissue mainly by:
1. HDL
2. LDL
3. VLDL
4. Chylomicrons

Correct answer: 2. LDL

Explanation: Low-density lipoprotein/ LDLIt is one of the five major groups of lipoproteins, which in order of size, largest to smallest, are chylomicrons, VLDL, IDL, LDL, and HDL, that enable transport of multiple different fat molecules, as well as cholesterol, within the water around cells and within the water-based bloodstream.LDL is often informally called bad cholesterol, (as opposed to HDL particles, which are frequently referred to as good cholesterol or healthy cholesterol).